Most common complicationassociated with ‘Total Parenteral Nutrition’ is :
1. Catheter related infection
2. Hyperglycemia
3. Pneumothorax
4. Hyperkalemia

Correct answer: 1. Catheter related infection

Explanation: Most common complication associated with TPN is Catheter related infection
Total Parenteral Nutrition :
For providing nutritional support
All nutritional requirements given only through IV route
TPN is given through central vein and not through a peripheral vein
Can also use Peripherally Inserted Central Catheter (PICC)
Preferred site for central vein infusion is the Superior vena cava
Preferred access sites are Subclavian > Jugular > Femoral vein
Total volume of PN should be 2000-300 ml/day